Eggs does not Float on saturated salt solution is
1. Fertilised egg of Ascaris
2. Trichuris trichura
3. H. Nana
4. Unfertilized egg of Ascaris.

Correct answer: 4. Unfertilized egg of Ascaris.

Explanation: Eggs that Float

E. granulosis
H.Nana
All Nematodes (except unfertilised egg of Ascaris)